Keratomalacia includes the following except:
1. Night blindness
2. Severe pain in the eye
3. Xerosis of the cornea
4. Perforation of cornea

Correct answer: 2. Severe pain in the eye

Explanation: Ans. Severe pain in the eye